The CPITN probe was designed for the detection of
1. Supragingival calculus
2. Debris
3. Subgigival calculus
4. Subgigival stains

Correct answer: 3. Subgigival calculus